A 16 yr old female presents with Primary Amenorrhea. Examination shows a Short Blind Vagina, with absent Uterus. The Next Investigation of choice is :
1. Karyotyping
2. IVP
3. Gonadotrophin levels
4. Serum Prolactin

Correct answer: 1. Karyotyping

Explanation: Karyotyping A female phenotype presenting with absent uterus and short blind vagina : Friend what are the D/D's which come to your mind. I can think of only 2 : Mullerian dysgenesis and Testicular feminizing syndrome (or male pseudo hermaphroditism). So, the best way to differentiate between the two is to do karyotyping or chromatin/barr body test. Which comes positive (barr body present) in 46XX and negative (barr body absent) in case of 46XY Genotype.